All are causes of Polyhydramnios EXCEPT :
1. Occult spina bifida
2. Diabetes mellitus
3. Swallowing defects in fetus
4. Multiple pregnancy

Correct answer: 1. Occult spina bifida

Explanation: Polyhydramnios Causes: Diabetes Twin pregnancy Cleft lip/palate Duodenal atresia Esophageal atresia Neural tube defects Gastroschisis Disorders such as duodenal atresia, esophageal atresia, gastroscisis and diaphragmatic hernia cause swallowing defects Open spina bifida causes polyhydramnios (not occult spina bifida)